What is the number of bones a neonate has in the skeleton?
1. 270
2. 250
3. 230
4. 206

Correct answer: 1. 270

Explanation: A neonate/new born baby has 270 bones. Their skeleton is mostly composed of cartilage, which fuses & gets ossified, resulting in 206 bones in human adult skeleton.